Therapeutic index is a measure of which of the parameters?
1. Efficacy
2. Adverse effects
3. Safety
4. Potency

Correct answer: 3. Safety

Explanation: Therapeutic index is a measure of the margin of safety of a drug. Therapeutic index = Median lethal dose/Median effective dose. One estimate of a drug's margin of safety is the ratio LD50/ED50, the therapeutic index, which is a statement of how selective the drug is in producing it's desired versus its adverse effects.